A new born with recurrent vomiting, cyanosis after each feed is likely to be suffering from -
1. Tracho oesophageal fistula
2. Tetrology of fallot
3. Congenital hypertrophic pyloric stenosis
4. ARDS

Correct answer: 1. Tracho oesophageal fistula

Explanation: Ans. is 'a' i.e., Tracheo oesophageal fistula